Which of the following is formed of elastic cartilage?
1. Auditory tube
2. Nasal septum
3. Articular cartilage
4. Costal cartilage

Correct answer: 1. Auditory tube

Explanation: Auditory tubeREF: Basic histology, Carlos & Jose, 11th edition, Chapter 7, Cartilage, Textbook of human histology 4th e p. 92-94